Defective DNA repair is associated with:
1. Albinism
2. Xeroderma pigmentosum
3. Both of the above
4. None of the above

Correct answer: 2. Xeroderma pigmentosum

Explanation: Xeroderma pigmentosum